Radiorestistant tumor is-
1. Ewings sarcoma
2. Retinoblastoma
3. Osteosarcoma
4. Neuroblastoma

Correct answer: 3. Osteosarcoma

Explanation: RADIORESISTANT RADIOSENSITIVE Osteosarcoma Wilms tumor Melanoma Ewing's sarcoma Hepatic carcinoma Lymphoma Pancreatic carcinoma Myeloma Seminoma / Dysgerminoma